Prions are
1. Made up of bacterial and viral particles
2. Immunogenic
3. infectious
4. RNA particles

Correct answer: 3. infectious